Uveitis with auditory and cutaneous problems occurs in
1. Vogt- Koyanagi- Harada syndrome
2. Behcets disease
3. Ankylosing spondylitis
4. Marfan's syndrome

Correct answer: 1. Vogt- Koyanagi- Harada syndrome

Explanation: A. i.e. (Vogt - Koyanagi - Harada syndrome)VOGT- KOYANAGI- HARADA (VKH) Syndrome* Idiopathic multisystem disorder HLA- DR4 and DW-15Clinical features1. Cutaneous lesions include - alopecia, poliosis and vitiligo2. Neurological lesions are in the form of meningism, encephalopathy, tinnitus, vertigo and deafness3. Ocular- features - are bilateral chronic granulomatous anterior uveitis, posterior uveitis and exudative retinal detachment* Uveitis with ankylosing spondyitis is characteristically an acute, recurrent, non granulomatous type of iridiocyclitis* Behcet's disease - idiopathic multi system disease characterized by recurrent non granulomatous uveitis, aphthous ulceration, genital ulceration and erythema multiforme* Persistent primary hyperplastic vitreous (PHPV) is seen in association with Trisomy 13 (Patau syndrome**) and Trisomy 22, Norries disease, walker Warburg syndrome**LDH in aqueous humor is increased in Retinoblastoma